Putrefaction is facilitated by following except -
1. Very high temperature
2. Free air
3. Damp environment
4. Shallow grave

Correct answer: 1. Very high temperature

Explanation: Putrefaction is arrested below 0°C and above 48°C as the activity of microorganism stops.
Putrefaction is facilitated by free access of air, moisture and optimum temperature (10°C-45°C), so decomposition is fast in shallow damp, marshy graves in bodies without clothes and coffin.